Painless terminal hematuria is seen as one of the manifestations in the infection caused by -
1. Schistosoma japonicum
2. Schistosoma mansoni
3. Schistosoma haematobium
4. Plasmodium falciparum

Correct answer: 3. Schistosoma haematobium

Explanation: painlessly terminal haematuria-endemic haemeturia Initially microscopic Become gross if infection is heavy (refer pgno:120 baveja 3 rd edition)